Maddox rod test is used for testing -
1. Macular function
2. Lens opacity
3. Amount of tear production
4. Vitreous hemorrhage

Correct answer: 1. Macular function

Explanation: Ans. is 'a' i.e., Macular function Macular function testso While evaluating the retinal function, some tests are used specifically for macular function,o These tests are :1) Simple m acular fu nction testsy Two point discrimination test (Cardboard test)y Maddox rod testy Coloured light testy Modified photostress testy Entoptic view testy Amsler grid test2) Other testsy Blue field entoptoscopyy Laser interferometryy Potential acuity metery Flying corpuscle test